What percentage of body weight of a one year old child is TBW?
1. 90%
2. 80%
3. 60%
4. 40%

Correct answer: 3. 60%

Explanation: Ans. is 'c' i.e., 60% * Total body water (TBW) as a percentage of body weight declines form as high as 90% in early fetal life to 75- 80% at birth. Thereafter it declines progressively to 60% by the end of one year. After that it remains constant.